Weight gain is seen in all except:
1. Cushings syndrome
2. Hypothyroidism
3. Pheochromocytoma
4. Insulinoma

Correct answer: 3. Pheochromocytoma

Explanation: Answer is C (Pheochromocytoma): Pheochronsocytoma is associated with weight loss. Cushing's syndrome, Hypothyroidism and Insulinoma are all associated with weight gain